Female pseudoherm aphroditism M.C. cause -
1. CAH
2. Maternal ovarian tumor
3. Maternal drug intake
4. Chromosomal abnormalities

Correct answer: 1. CAH

Explanation: Ans. is 'a' i.e., CAHo Female pseudo hermaphroditism n Have internal genitalia female typeKaryo type XXMasculinisation of external genitaliaMost common - CAHCongenital adrenal hyperplasiao M-C. 21 hydroxylase deficiencyOther cause excess maternal androgen due to -Maternal ovarian tumor.Maternal drug intake.TreatmentHormonal therapy.Surgical correction.